The peripheral blood smear of a patient shows features of thalasemia, also presented with anaemia. Family history is also +ve. The investigation done to establish the diagnosis is -
1. ESR estimation
2. Blood spherocyte estimation
3. Bone marrow aspiration
4. Hb-electrophoresis

Correct answer: 4. Hb-electrophoresis

Explanation: Ans. is d i.e., Hb - Electrophoresis o Hemoglobin electrophoresis should always be the first investigation to include/exclude the diagnosis of thalasemia. o The level of normal adult hemoglobin HbA is markedly decreased with proportionate increase in HbA2 and HbF. X-ray findings in thalassemia Crew cut appearance Hair on end appearance